Most specific congenital abnormality in a baby born to a diabetic woman is?
1. Ventricular Septal defect
2. Sacral agenesis
3. Meningomyelocele
4. Transposition of great arteries

Correct answer: 2. Sacral agenesis

Explanation: -Sacral agenesis or Caudal regression syndrome is the most specific congenital abnormality in a baby born to a diabetic woman.